Purtschers retinopathy is seen unn
1. Meningitis
2. Pancreatitis
3. Uncontrolled hypertension
4. Unilateral carotid artery occlusion

Correct answer: 2. Pancreatitis

Explanation: Refer Robbins Purtschers retinopathy is manifestrd by a sudden death and severe loss of vision In a patient with acute pancreatitis. It is caused by occlusion of the posterior retinal artery with aggregated granulocytes. There to cotton wool spots and haemorrhage confined to an area. Limited NY the optic disc and macula